Most common site for bone metastasis in carcinoma of the breast in women is:
1. Skull
2. Ribs
3. Spine
4. Pelvis

Correct answer: 3. Spine

Explanation: (C) Spine > It is by this route that skeletal metastases occur, although the initial spread may be via the lymphatic system. In order of frequency the lumbar vertebrae, femur, thoracic vertebrae, rib and skull are affected and these deposits are generally osteolytic.> Metastases may also commonly occur in the liver, lungs and brain and, occasionally, the adrenal glands and ovaries; they have, in fact, been described in most body sites.